In a patient of unilateral loss of vision, the patient had injury to opposite eye leading to corneal opacification. The patient was operated by corneal grafting, he could see clearly again with one eye. The injury is said to be -
1. Simple
2. Grievous
3. Dangerous
4. Hazardous

Correct answer: 2. Grievous

Explanation: The synopsis of forensic medicine & toxicology;Dr k.s narayan reddy; 28th edition; pg.no.155; There is permanent privation (loss) of sight of one eye,therefore its a grievous hurt.